The most common hormone other than gastrin, contained in the gastric - secreting islet cell tumour is -
1. ACTH
2. Glucagon
3. Growth hormone releasing factor
4. Insulin

Correct answer: 1. ACTH